Immune complex mediated reaction-
1. Type IV
2. Type I
3. Type II
4. Type III

Correct answer: 4. Type III

Explanation: harshmohan textbook of pathology 7th edition. *type 3 reaction result from deposition of antigen antibody complexes in tissues which is followed by activation of complement system and inflammatory reaction resulting in cell injury. *type 1 -anaphylactic reaction. *type 2-antibody mediated reaction. *type 4-delayed hypersensitivity reaction.